Tetralogy of Fallot's present with one of the following –
1. Cenral cyanosis with clubbing
2. Cardiomegaly
3. Left ventricular hypertrophy
4. Normal ECG and Chest x-ray

Correct answer: 1. Cenral cyanosis with clubbing

Explanation: Clinical features of TOF :

Dyspnea on exertion and exercise intolerance → Most common.
Cyanosis usually presents after the neonatal period
Hypoxemic or cyanotic spells (Tet spells)
Commonest congenital lesion with which squatting is used
Clubbing

Auscultatory findings :

S1 →  Normal
S2 →  Single predominantly Aortic
Murmur →  Ejection systolic
TOF patients are RARELY CYANOTIC AT BIRTH

Chest x-ray

Normal heart size
Oligaemic lung fields
Right aortic arch present in 25% case
BOG → Right axis deviation, Inverted Twave, `P' pulmonale

About option ‘b’

Pulmonary stenosis causes pressure overload → Concentric right ventricular hypertrophy without cardiac enlargement.